Diabetes dyslipidemia pattern of HDL -
1. Decreased Triglycerides
2. Decreased HDL
3. Increased HDL
4. Decreased cholesterol

Correct answer: 2. Decreased HDL

Explanation: Ans, is 'b' i.e., Decreased HDL o The most common dyslipidemia in patients with poorly controlled insulin dependent diabetes mellitus (IDDM} is combined elevated triglyceride and cholesterol levels with reduced hish density lipoproteins (HDL) cholesterol (mixed hyperlipidemia)(D.M. does not increase the LDL level)# Hypertriglyceridemia combined with reduced HDL cholesterol is the most common dyslipidemia in patients with noninsulin dependent diabetes mellitus, but essentially any pattern of dyslipidemia may be presentSmall and dense low density lipoproteins (LDL), glycosylation of lipoproteins and increased oxidized lipoproteins may be present in patients with diabetes mellitus, all contribute to, accelaraied atherosclerotic cardiovascidar disease.In insulin dependent diabetes mellitus, instdin therapy generally corrects lipid abnormalities, so drug treatment is seldom required.o In Non insulin dependent diabetes mellitus, diet exercise, and insulin or oral sulfonylureas will improve hypertriglyceridemia and low HDL concentrations but do not always return them to normalDrug therapy is indicated when nonpharmacological measures are inadequate.A fibric acid is the agent of choice for marked hypertriglyceridimia in patients with diabetes mellitus.